True statement about Widal test in typhoid is?
1. 0-antigen titre remains positive for several months & reaction to it is rapid
2. H-antigen titre remains positive for several months & reaction to it is rapid
3. Both remain positive for several months & reaction to both is rapid
4. None

Correct answer: 2. H-antigen titre remains positive for several months & reaction to it is rapid

Explanation: Ans. is 'b' i.e., H-antigen titre remains positive for several months and reaction to it is rapid